Misoprostol is a
1. Prostaglandin E1 analogue
2. Prostaglandin E2 analogue
3. Prostaglandin antagonist
4. Antiprogestin

Correct answer: 1. Prostaglandin E1 analogue

Explanation: Natural prostaglandin in body is PG E2 whereas Misoprostol and alprostadil are synthetic prostaglandins which are PG E1 analogues. Refer kDT 6/e p181